An 18 year old patient's hemogram shows Hb 12 g%, RBC count of 6 million, decreased MCV (56), decreased MCH (29) and RDW of 14. What is the most probable diagnosis?
1. Iron deficient stores
2. Folate deficiency
3. Beta thalassemia trait
4. Normal lab parameters

Correct answer: 3. Beta thalassemia trait

Explanation: Microcytic hypochromic anemia cause: S: Sideroblastic anemia I: Iron deficiency anemia T: Thalassemia A: Anemia of chronic disease Red Cell Distribution Width (RDW): The red cell distribution width (RDW) test measures variation in red blood cell size. Normal range: 11.5 - 14.5 RDW is normal in patient with beta thalassemia. RDW is increase in patient with iron deficiency anemia. As patient RDW is within normal range, cause of this microcytic hypochromic anemia is most likely Beta Thalassemia.